CPD is best assessed by:
1. CT scan
2. Ultrasound
3. Radio pelvimetry
4. Pelvic assessment

Correct answer: 4. Pelvic assessment

Explanation: Ans. is d, i.e. Pelvic assessmentRef Dutta Obs. 9/e, p 329IOC for detecting CPD or pelvic assessment or adequacy is - MRI.Best method of detecting CPD-Trial of labor > MRI > manual pelvic assessment.Pelvic assessment is done at 37 weeks in primigravida and at the onset of labor in multigravida.